Drug of choice in pneumonia caused by P. carinii is :
1. Penicillin
2. Cotrimoxazole
3. Kanamycin
4. Levofloxacin

Correct answer: 2. Cotrimoxazole